Wickham's striae are seen in
1. Lichen planus
2. Leukoplakia
3. Leukoedema
4. Erythema multiformae

Correct answer: 1. Lichen planus